A 22 years old male patient presents with a complaints of severe itching and white scaly lesions in the groin for past month. Which of the following is most likely to be the causative agent
1. Trichophyton rubrum
2. Candida albicans
3. Candida glabrata
4. Malassezia furfur

Correct answer: 1. Trichophyton rubrum

Explanation: A i.e. Trichophyton rubrum